Vanilloid receptors are activated by:
1. Pain
2. Vibration
3. Touch
4. Pressure

Correct answer: 1. Pain

Explanation: A i.e. Pain